Not a true statement
1. Erb's palsy involves injury to C6, C7 roots
2. Klumpke's palsy involves injury to C8, T1 roots
3. Brachial plexus injury with horner's syndrome is seen with injury to T1
4. Erb's palsy deformity also known as Policeman hand

Correct answer: 1. Erb's palsy involves injury to C6, C7 roots

Explanation: Erb's palsy involves C5, C6 nerve roots.